Community acquired Neonatal Pneumonia treatment of choice -
1. Cefotaxime +Amikacin
2. Ampicillin + Chloramphenicol
3. Ampicillin + Gentamicin
4. Metronidazole + Amikacin

Correct answer: 3. Ampicillin + Gentamicin

Explanation: Ans. is 'c' i.e., Ampicillin and Gentamicin o Antibiotic treatment for Neonatal pneumonia should cover the common causative bacteria namely.